Down's syndrome is associated with -a)  Congenital heart diseaseb)  A.L.L.c)  Early onset Alzheimer's diseased) CNS tumoure)  Infection
1. abce
2. bcde
3. cde
4. acd

Correct answer: 1. abce